Aspergillus causes all except
1. Bronchopulmonary allergy
2. Otomycosis
3. Dermatophytosis
4. Sinusitis

Correct answer: 3. Dermatophytosis

Explanation: Dermatophytosis is caused by dermatophytes, which includes Microsporum, Trichophyton and Epidermophyton. Ref: Textbook of Microbiology, Ananthanarayan and Paniker; 9th edition